Hereditary orotic aciduria Type-I is due to deficiency of
1. Orotate phosphoribosyl transferase
2. Ribonucleotide reductase
3. Dihydroorotase
4. Dihydroorotate dehydrogenase

Correct answer: 1. Orotate phosphoribosyl transferase

Explanation: The orotic aciduria is a consequence of the inability of severely damaged mitochondria to utilize carbamoyl phosphate, which then becomes available for cytosolic overproduction of orotic acid.Type-I orotic aciduria reflects a deficiency of both orotate phosphoribosyltransferase and orotidylate decarboxylaseThe rarer Type-II orotic aciduria is due to a deficiency only of orotidylate decarboxylaseRef: Harper 27e, page no:354